Structures passing between superior and middle constrictor muscles are
1. Superior laryngeal vessels, internal laryngeal nerve
2. Stylopharyngeus muscle, superior laryngeal vessels
3. Glossopharyngeal nerve, stylopharyngeus muscle
4. Internal laryngeal nerve, stylopharyngeus muscle

Correct answer: 3. Glossopharyngeal nerve, stylopharyngeus muscle

Explanation: Stylopharyngeus muscle and glossopharyngeal nerve are structures passing between superior and middle constrictors of pharynx.